In diabetes, which can occur in the fetus :
1. Pre-eclampsia
2. Polyhydramnios
3. Fetal anomalies
4. Abruptio placentae

Correct answer: 3. Fetal anomalies

Explanation: Ans. is c i.e. Fetal anomalies Well friends, this one can be solved even without any reference, as all the conditions given in the options (except fetal anomalies), are conditions affecting mother.